Bifurcation of trachea is at the level of lower border of:
1. T1
2. T2
3. T3
4. T4

Correct answer: 4. T4

Explanation: Ans. D i.e. T4